All are paired venous sinuses except -
1. Superior petrosal
2. Inferior petrosal
3. Superior sagittal
4. Transverse

Correct answer: 3. Superior sagittal